Which does not act as 2nd messenger?
1. cAMP
2. Guanyl cyclase
3. Diacyl glycerol
4. Inositol triphosphate

Correct answer: 2. Guanyl cyclase

Explanation: Ans. B. Guanyl cyclase2nd messengers are responsible for conducting and amplifying signals of GPCRs. Following substance act as 2nd messengers:a. cAMP or cGMP causes protein phosphorylationb. IP3- calcium release from ERc. DAG - activates enzymes such as protein kinase C